Standard errors of mean, all are true except ?
1. Increases with increased number of samples
2. Based on normal distribution curve
3. Measure the confidence limit
4. Standard deviation

Correct answer: 1. Increases with increased number of samples

Explanation: Ans. is 'a' i.e., Increase with sample size increase